MCH located on -
1. Chromosome number 6
2. Chromosome number 7
3. Chromosome number 8
4. Chromosome number 9

Correct answer: 1. Chromosome number 6

Explanation: (A) (Chromosome number 6) (136 Baveja 4lh) (106 D. Greenwood 18th)MAJOR HISTOCOMPATIBILITY COMPLEX (MHO* The MHC in human is known as human leucocyte antigen (HLA) complex.* The HLA complex of genes is located on short arm of chromosome 6.* They are arranged over a region of between 2000 and 4000 kilobases is size, containing sufficient DNA for more than 200 genes.HLA Complex (MHC complex)||||Class IClass 11Class III* Comprising A, B and C loci* 'D' region - DR, DQ, DPComplement region encodes* Responsible for* Responsible for* C2&C4# Graft rejection# Graft versus host response* Properdin factor B# Cell mediated cytolysis# Mixed leucocyte reaction* Heat shock protein* Found on the surface of all nucleated cells and platelets* Found only on cells of the immune system* TNF a and b* Enzyme 21 hydroxylaseIndications of HLA typing:* Tissue typing prior to transplantation.* Paternity determination.* Disease and HLA - associationHLA - B27 - Ankylosing spondylitis.HLA - DR4 - Rheumatoid arthritis